Laryngeal mirror is warmed before use by placing -
1. Glass surface on flame
2. Back of mirror on flame
3. Whole mirror into flame
4. Mirror in boiling water

Correct answer: 1. Glass surface on flame

Explanation: Laryngeal mirror is warmed by: 

Dipping the mirror in warm water.
Heating the glass surface against some heat such as bulb or spirit lamp.